Most Probable cause of food poisoning in a child who has eaten Ice Cream 16-18 hrs earlier is -
1. Staph aureus
2. Clostridium perfringens
3. Clostridium botulinum
4. Salmonella typhimurium

Correct answer: 4. Salmonella typhimurium